Which of the following is used to treat Paroxysmal nocturnal hemoglobinuria ?
1. Eculizumab
2. Avelumab
3. Natalizumab
4. Sarilumab

Correct answer: 1. Eculizumab

Explanation: Eculizumab is monoclonal antibody against C5 complement used in the treatment of paroxysmal nocturnal hemoglobinuria.